Protrusion of the tongue is not possible in damage of:
1. Styloglossus
2. Hyoglossus
3. Palatoglossus
4. Genioglossus

Correct answer: 4. Genioglossus

Explanation: Posterior part of genioglossus pulls tongue anteriorly for protrusion.
It is also called safety muscle of tongue as it prevents backward fall of tongue into the oral cavity, especially if the patient is unconscious.